A woman comes after 96 hours post coitus. Best contraceptive of choice is?
1. OCP
2. IUCD
3. Mifepristone
4. Progesterone only pills

Correct answer: 2. IUCD

Explanation: IUCD: Can prevent implantation up till 5th day of unprotected inter-course Therefore, this is the most effective method for contraception